In otosclerosis Carhart's notch dips at:
1. 1000 Hz in AC
2. 1000 Hz in BC
3. 2000 Hz in AC
4. 2000 Hz in BC

Correct answer: 4. 2000 Hz in BC

Explanation: (d) 2000HzinBC(Ref. Shambaugh, 6th ed., 532)In otosclerosis the dip at 2000Hz is seen in bone conduction curve which is known as Carhart's notch. Mnemonic: Carhart's in Bone Conduction, CBC.